All of the following can cause megakaryocytic thrombocytopenia, except -
1. Idiopathic thrombocytopenic purpura
2. Systemic lupus erythematosus
3. Aplastic anemia
4. Disseminated intravascular coagulation (DIC)

Correct answer: 3. Aplastic anemia

Explanation: Megakaryocyte is a precursor of the platelet.
It is increased in those cases of thrombocytopenia where thrombocytopenia is caused by the peripheral destruction of platelets.
There is a compensatory increase in megakaryocyte production in the bone marrow in these cases.
This type of thrombocytopenia is called megakaryocytic thrombocytopenia.
On the other hand, if thrombocytopenia occurs due to any defect in the bone marrow itself, a compensatory increase in megakaryocytes will not occur.
This type of thrombocytopenia is called amegakaryocytic or hypoplastic thrombocytopenia.
In aplastic anemia, thrombocytopenia occurs due to decreased production of thrombocytes in the bone marrow itself. So in these cases, compensatory increase in megakaryocytes will not occur.